Prefential dissolution of enamel rods at the centre is:
1. Type 1
2. Type 2
3. Type 3
4. Type 4

Correct answer: 1. Type 1